In delirium tremens all of the following statements are TRUE, EXCEPT:
1. Gross tremor
2. Seen in alcoholic withdrawal
3. Fits may occur
4. Clear orientation

Correct answer: 4. Clear orientation

Explanation: Delirium tremens is the most serious alcohol withdrawal syndrome which begins 3 to 5 days after cessation of drinking and lasts for up to 72 hours. Patients are usually confused and agitated. Other characteristic features includes fever, sweating, tachycardia, hypertension, and hallucinations. Death can result from concomitant infection, pancreatitis, cardiovascular collapse, or trauma. Treatment involves administration of diazepam or lorazepam for tremors and hallucinations, correction of fluid and electrolyte abnormalities, and hypoglycemia. Beta blocker is administered for patients with tachycardia and hypertension. Ref: Greenberg D.A., Aminoff M.J., Simon R.P. (2012). Chapter 4. Confusional States. In D.A. Greenberg, M.J. Aminoff, R.P. Simon (Eds), Clinical Neurology, 8e.